All the following can cause DIC during pregnancy except:
1. Diabetes mellitus
2. Amniotic fluid embolism
3. Intrauterine death
4. Abruptio placentae

Correct answer: 1. Diabetes mellitus

Explanation: DIC is always secondary to an underlying disorder Its associated with Sepsis Trauma Malignancy Severe transfusion reactions Obstetric complications Amniotic fluid embolism Abruptio placentae HELLP Retained dead fetus syndrome (release of tissue thromboplastin from feto-placental unit)